All of the following are major complications of massive transfusion, except:
1. Hypokalemia
2. Hypothermia
3. Hypomagnesemia
4. Hypocalcemia

Correct answer: 1. Hypokalemia

Explanation: Complications usually seen with massive blood transfusion are 1) hyperkalemia, 2) hypocalcemia, 3)hypomagnesemia 4) hyperammonemia, 5) hypothermia, 6) Acidosis 7)dilutional coagulopathies and DIC (most worrisome problem after massive transfusion and is the usual cause of death after massive blood transfusion) and 8) ARDS. REF: ROBBINS pathology 10th edition